Which type of thyroid carcinoma is classically with calcitonin induced amyloid deposition?
1. Papillary
2. Follicular
3. Anaplastic
4. Medullary

Correct answer: 4. Medullary

Explanation: Calcitonin derived amyloid deposition is seen associated with medullary carcinoma of thyroid. It is a neuroendocrine tumour of thyroid derived from parafollicular cells It is characterised by secretion of calcitonin.Calcitonin is readily demonstrable within the cytoplasm of tumour cells as well as in stromal amyloid by immunohistochemical methods. Ref: Robbins and cotrans 9e Pg 1099